Which of the following artery is a branch of the first part of axillary artery?
1. Lateral thoracic artery
2. Superior thoracic artery
3. Subscapular artery
4. Thoracoacromial artery

Correct answer: 2. Superior thoracic artery

Explanation: Superior thoracic artery is the only branch from the first part of the axillary artery. The axillary artery is a continuation of the subclavian artery and is divided into three parts. Branches from the second part of the axillary artery are: Lateral thoracic artery Thoracoacromial artery Branches from the third part of the axillary artery are: Subscapular artery Anterior circumflex humeral artery Posterior circumflex humeral artery